Gingivectomy is contraindicated in:
1. Gingival hyperplasia
2. Suprabony defects
3. Infrabony pockets
4. Phenytoin induced gingival hyperplasia

Correct answer: 3. Infrabony pockets